A 5 year old boy been diagnosed to have posterior superior retraction pocket cholesteotoma. All of the following would constitute part of its management, EXCEPT:
1. Audiometry
2. Myringoplasty
3. Tympanoplasty
4. Mastoid exploration

Correct answer: 2. Myringoplasty

Explanation: Myringoplasty is the procedure done to close central perforations in patients with safe type or tubotympanic type of chronic suppurative ottitis media. It is not done in case of cholesteatoma which occur in atticoantral type or dangerous type of CSOM. Surgical treatment of choice in this case is open mastoidectomy, tympanoplasty can also be done.